Dennie-Morgan fold is seen in -
1. Dermotomyositis
2. SLE
3. Psoriasis vulgaris
4. Atopic dermatitis

Correct answer: 4. Atopic dermatitis

Explanation: dennie morgan fold-accentuated grooves or lines below the lower eyelid margins. seen in atopic dermatitis. Ref Harrison20th edition pg 2534